Atropine is derived from which of the following plant?
1. Atropa belladonna
2. Hyoscyamus niger
3. Datura stramonium
4. Argemone mexicana

Correct answer: 1. Atropa belladonna

Explanation: Plants and mushrooms containing anticholinergic alkaloids include Jimsonweed (Datura stramonium) Deadly nightshade (Atropa belladonna) Fly agaric (Amanita muscaria) The root of Atropa belladonna contains 82-97% of hyoscyamine, 3-15% atropine, and up to 2.5% scopolamine. Anticholinergic agents competitively antagonize the effects of acetylcholine at peripheral muscarinic and central receptors. Ref: Manning B.H. (2012). Chapter 13. Anticholinergics. In K.R. Olson (Ed), Poisoning & Drug Overdose, 6e.